ICDS was launched at-
1. Community development block
2. Town level
3. City level
4. District level

Correct answer: 1. Community development block

Explanation: Ans. is 'a' i.e., Community development block o ICDS was launched on 2"d October 1975 in 33 Community development block. o ICDS programme is a globally recognized community based early child care programme, which addresses the basic interrelated needs of yound children, expectant and nursing mothers and adolescent girls across the life cycle, in a holistic manner.